Characteristic feature of Cancer fallopian tube :
1. Watery discharge P/V
2. Hemorrhage
3. Pain
4. Sepsis

Correct answer: 1. Watery discharge P/V

Explanation: Watery discharge P/V